Which of the following is not used as a preservative in chemical analysis:-
1. Glycerine
2. Formalin
3. Rectified spirit
4. Salt solution

Correct answer: 2. Formalin

Explanation: Formalin is not used as preservative in chemical analysis because it can destroy poison from tissue. It is only used as preservative in histopathological examination. Rectified spirit is the best preservative for chemical analysis. Salt solution and Glycerine are also commonly used.